Contractile unit of a muscle is?
1. Sarcomere
2. Sarcolemma
3. Myofibril
4. Sarcotubular System

Correct answer: 1. Sarcomere